Features of restrictive lung disease is
1. FEV1/FVC decreases and compliance decreases
2. FEV1/FVC increases and compliance increases
3. FEV1/FVC decreases and compliance increases
4. FEV1/FVC increases and compliance decreases

Correct answer: 4. FEV1/FVC increases and compliance decreases

Explanation: Answer is D (FEVI/FVC increase and compliance decreases): Restrictive lung diseases are characterized by decreased compliance and increased FEVIFI"C FENT' & FVC Forced Vital Capacity (FVC) is decreased Forced expiratory flow rates are relatively preserved (FEV1 is preserved) FEV1 / FVC When FEVI is considered as a percentage of FVC, the flow rates tend to become supranormal or disproportionately high relative to size of lungs. FEV", is preserved and FVC is decreased so FEV / IFTC is increased The hallmark of restrictive lung diseases is a decrease in lung volumes primarily TLC and V.C.' (FVC is decreased)-Harrison Compliance decreases in restrictive lung disease. Compliance is usually unaffected in obstructive lung diseases except in emphysema where it is increased.